Recurrence of hydatiform mole is assessed by:
1. AFP level
2. b-HCG level
3. LDH level
4. Estrogen level

Correct answer: 2. b-HCG level

Explanation: Ans: (B) b-HCG levelRef : D.C. Dutta 8th ed. 1227Hydatiform moles are abnormal pregnancies characterized histologically by aberrant changes within the placenta. Specifically, the chorionic villi in these placentas show varying degrees of trophoblastic proliferation and edema of the villous stroma.They areof two types: partial and complete.Complete MolePartial mole* A molar pregnancy with some normal and some swollen villi plus fetal, cord, and/or amniotic membrane elements.* Fetal tissue present.* Karyotype: 46, XX or 46, XY* Villous edema: diffuse* Typical clinical presentation: Molar gestation* Postmolar malignant sequelae-15-20%* A molar pregnancy with swelling of all placental villi.* Fetal tissues are absent.* Karyotype: 69, XXX or 69, XXY* Villous edema: focal* Typical clinical presentation: Missed abortion* Postmolar malignant sequelae- 2-4%Investigation* Diagnosing in first-trimester is now common because of the routine use of serum (3-hCG measurements (as they produce excess (3-hCG due to trophoblastic proliferation) and transvaginal sonography.* Although (3-hCG levels are helpful, the diagnosis of molar pregnancy more frequently is found sonographically because of the identifiable diffuse swelling and enlargement of the chorionic villi.* Appearance on USG: Snow storm appearnceTreatment* Suction curettage is the preferred method of evacuation regardless of uterine size in patients who wish to remain fertile.POSTMOLAR SURVEILLANCE* Gestational trophoblastic neoplasia (GTN) develops after approximately 15-20 % of complete moles and 2-4% in partial moles.* Postmolar surveillance with serial quantitative serum b-hCG levels is the standard.Also Know* GTD INCLUDES: H.Mole, Invasive mole, ChorioCA, PSTT (Placental Site Trophoblastic Tumor)* MC site of metastasis of GTD: Lungs